Gradenigo's triad is caused due to the involvement of
1. Abducent nerve
2. Facial nerve
3. Optic nerve
4. Occulomotor nerve

Correct answer: 1. Abducent nerve

Explanation: Gradenigo syndrome is the classical presentation and consists of a triad of (i) external rectus palsy (VIth nerve palsy),(ii) deep-seated ear or retro-orbital pain (Vth nerve involvement) and (iii) persistent ear dischargeDue to petrositis in CSOM.(Spread of infection from middle ear and mastoid to the petrous part of the temporal bone is called petrositis.)Dhingra 6e pg: 79